Placenta previa true are:
1. incidence increases by two fold after LSCS
2. More common in primipara
3. Most common in developed countries
4. 1 per 1000 pregnancies

Correct answer: 1. incidence increases by two fold after LSCS

Explanation: Prior surgery on the uterus especially Caesarean section increases the incidence of placenta praevia two or three fold.The combination of a prior Caesarean section with an anterior placenta praevia is particularly dangerous (refer pgno:129 sheila textbook of obstetrics 2nd edition)